Auer rods are specific for
1. Acute myeloid leukemia
2. Acute lymphocytic leukemia
3. Chronic lymphocytic leukemia
4. Hodgkin's lymphoma

Correct answer: 1. Acute myeloid leukemia

Explanation: -Auer rods are Needle-like azurophilic fusiform inclusions in cytoplasm of myeloblasts -Auer rods are most reliable morphological feature of AML -Myeloblasts Stain +ve with MPO and Sudan Black B